Malarial parasite was discovered by-
1. Ronald ross
2. Paul muller
3. Laveran
4. Pampania

Correct answer: 3. Laveran

Explanation: Discovery of the Malaria Parasite (1880) Charles Louis Alphonse Laveran, a French army surgeon stationed in Constantine, Algeria, was the first to notice parasites in the blood of a patient suffering from malaria.
This occurred on the 6th of November 1880. For his discovery, Laveran was awarded the Nobel Prize in 1907.